Tuberous sclerosis is inherited as?
1. Autosomal dominant
2. Autosomal recessive
3. X-linked dominant
4. X-linked recessive

Correct answer: 1. Autosomal dominant

Explanation: Robbins basic pathology 9th edition page no 847, heading=Familial tumor syndromes Tuberous Sclerosis is an autosomal dominant syndrome characterized by the devolopment of hamartomas and benign neoplasms involving the brain and other tissues.